Average bond strength in enamel adhesion:
1. 5-10 MPa
2. 20-50 MPa
3. 50-70 MPa
4. 70-100 MPa

Correct answer: 2. 20-50 MPa

Explanation: Bond strength of enamel is higher than bond strength to dentin.
Enamel is 20-50 MPa.
Dentin is 15-25 MPa depending on agent used. 
Reference-Sturdevant 6th ed  Pg: 116